The duochrome test is for –
1. Subjective verification of refraction
2. Subjective refinement of refraction
3. Subjective binocular balancing
4. None

Correct answer: 2. Subjective refinement of refraction

Explanation: For subjective refining of sphere following are used:-

(i) The fogging technique 
(ii) Duochrome test 
(iii) Pinhole test